Beta-2 -microglobulin is a tumor marker for
1. Multiple myeloma
2. Lung cancer
3. Colonic neoplasm
4. Choriocarcinoma

Correct answer: 1. Multiple myeloma

Explanation: Ans. (a) Multiple myeloma(Ref: Robbins 9th/pg598-602)Serum b2 microglobulin level <3.5mg/L indicates good prognosis, in multiple myeloma.